Rapid change of presbyopic glasses is seen in
1. Senile cataract
2. Retinal detachment
3. Intumescent cataract
4. Open angle glaucoma

Correct answer: 4. Open angle glaucoma

Explanation: PRIMARY OPEN ANGLE GLAUCOMAAs the name implies, it is a type of primary glaucoma, where there is no obvious systemic or ocular cause of the rise in the intraocular pressure. It occurs in eyes with an open angle of the anterior chamber.Primary open angle glaucoma (POAG) also known as chronic simple glaucoma of adult onset and is typically characterized by slowly progressive raised intraocular pressure(>21 mmHg recorded on at least a few occasions) associated with characteristic optic disc cupping and specific visual field defects.Reading and close work often present increasing difficulties owing to accommodative failure due to constant pressure on the ciliary muscle and its nerve supply. Therefore, patients usually complain of frequent changes in presbyopic glasses.Ref: UG Khurana; 4th edition; Pg. 215